According couinaud's classification of functional segments of liver, which of the following is segment IV of liver?
1. Left lobe
2. Right lobe
3. Caudate lobe
4. Quadrate lobe

Correct answer: 4. Quadrate lobe

Explanation: Segment I     →  Caudate lobe
Segment IV   → Quadrate lobe